APACHE-II score includes -
1. Age
2. Blood pressure
3. Respiratory rate
4. All of the above

Correct answer: 4. All of the above